Thoracic duct terminates into the left brachiocephalic vein at the junction of:
1. External jugular vein and subclavian vein
2. Internal jugular vein and subclavian vein
3. External jugular vein and brachiocephalic vein
4. Internal jugular vein and brachiocephalic vein

Correct answer: 2. Internal jugular vein and subclavian vein

Explanation: Internal jugular vein and subclavian vein